Fluconazole is more effective than itraconazole in the following systemic fungal disease:
1. Pulmonary histoplasmosis
2. Cryptococcal meningitis
3. Non-meningeal blastomycosis
4. Disseminated sprorotrichosis

Correct answer: 2. Cryptococcal meningitis

Explanation: (Ref: KDT 6/e p763, 764) Fluconazole has maximum CNS penetration whereas itraconazole has limited entry in the brain. Therefore fluconazole is preferred over itraconazole for the treatment of cryptococcal meningitis. For all other conditions listed in the question, itraconazole is first choice drug.